A Severely comminuted fracture of the Patella that can not be reduced should be treated by:
1. Inserting screws and wires
2. Physiotherapy alone
3. Patellectomy
4. Removal of smallest piece only

Correct answer: 3. Patellectomy

Explanation: Patella Tube cast may be used Displaced transverse fracture Tension band wiring by K-wires and stainless steel (SS) wire Comminuted fracture At least proximal third of patella is intact--Partial patellectomy Severe comminution--total patellectomy